Addison's disease is characterized by all except -
1. Hyperglycemia
2. Hypotension
3. Hyperkalemia
4. hyponatremia

Correct answer: 1. Hyperglycemia